Which is the most common site for berry aneurysm in circle of willis is seen at bifurcation between
1. Anterior communicating artery and anterior cerebral artery
2. Basilar artery and posterior cerebral artery
3. Internal carotid artery and posterior communicating artery
4. Anterior cerebral and middle cerebral artery

Correct answer: 1. Anterior communicating artery and anterior cerebral artery

Explanation: Ans. is 'a' i.e., Anterior communicating artery and anterior cerebral artery AZX